Uniocular polyopia is seen in which stage of cataract-
1. Incipient
2. Itumescent
3. Mature
4. Hypermature

Correct answer: 1. Incipient

Explanation: Monoocular diplopia means perception of two images of one object by one eye and monoocular polyopia means refers to perception of multiple images of one eye. It is particularly seen in incipent cataract. Ref: Ashok Garg 1st/e p.633.